Most of the incidentalomas are
1. Non-functioning adenoma
2. Adrenocortical carcinoma
3. Adrenal metastasis
4. Pheochromocytoma

Correct answer: 1. Non-functioning adenoma

Explanation: An incidentaloma is an adrenal mass, detected incidentally by imaging studies conducted for other reasons, not known previously to have been present or causing symptomsMore than 75% are non-functioning adenomas but Cushing's adenomas, phaeochromocytomas, metastases, adrenocortical carcinomas and Conn's tumours can all be found this wayRef: Bailey and Love 27e pg: 839